True about relation of epiploic foramen is :
1. Portal vein posteriorly
2. IVC inferiorly
3. Hepatic art superiorly
4. Bile duct anteriorly

Correct answer: 4. Bile duct anteriorly

Explanation: D. i.e. Bile duct anteriorly